The commonest site of perforation during colonoscopy is -
1. Caecum
2. Hepatic flexure
3. Splenic flexure
4. Sigmoid colon

Correct answer: 4. Sigmoid colon

Explanation: • Risks of colonoscopy: Perforation and hemorrhage
• MC site of bleeding after colonoscopy: Stalk after polypectomy.
• MC site of perforation during colonoscopy: Sigmoid colon
• Perforation can be caused by excessive air pressure, tearing of the antimesenteric border of the colon from excessive pressure on colonic loops, and at the sites of electrosurgical applications